Which of the following organisms does not enter through abrasions in the skin -
1. E. rhusiopathiae
2. E. corrodens
3. C. hominis
4. C. violaceum

Correct answer: 3. C. hominis